A rheumatoid Arthritis patient on Methotrexate, steroids and NSAIDs for past 4 months has had no retardation of disease progression. What is the next rational step in management?
1. Start monotherapy with anti-TNF alpha drugs
2. Continue Methotrexate and steroids
3. Stop oral Methotrexate and start parenteral Methotrexate
4. Add Sulfasalazine

Correct answer: 4. Add Sulfasalazine

Explanation: For patient with RA, Steroid and NSAIDS one given for symptomatic relief. Methotrexate used alone or in combination therapy has become a mainstay of treatment in patient with RA or psoriatic arthritis. Methotrexate is a folic acid antagonist that inhibits cytokine production and purine nucleotide biosynthesis leading to immunosuppressive and anti-inflammatory effects. If methotrexate alone is not working, We add sulfasalazine, If it still doesn't work, we give triple therapy which are:- Methotrexate Sulfasalazine Hydroxychloroquine/ Leflunomide If triple therapy doesn't work, we Start INF inhibitor.